Which of the following is defective in renal glucosuria?
1. GLUT-1
2. GLUT-2
3. SGLT-1
4. SGLT-2

Correct answer: 4. SGLT-2

Explanation: SGLT-2 is defective in Renal glucosuria.